Not seen in children
1. Neuroblastoma
2. Retinoblastoma
3. Hepatoblastoma
4. Seminoma

Correct answer: 4. Seminoma

Explanation: Answer- D. SeminomaChildhood malignancies areLeukemia (AML' ALL)Brain tumorsSoft tissue sarcoma - RhabdomyosarcomaLymphomaNeuroblastomaWilm's tumorBone tumorRetinoblastomaHepatoblastoma